A woman presents with a thick curdy -- white vaginal discharge. The best treatment for her is :
1. Miconazole
2. Metronidazole
3. Nystatin
4. Doxycyclin

Correct answer: 1. Miconazole

Explanation: Miconazole